In TB spine the first symptom is:
1. Decreased sensation
2. Decreased motor power
3. Pain
4. Increased deep tendon reflexes.

Correct answer: 3. Pain

Explanation: Ans. is 'c' i.e., Pain Back pain is the commonest presenting complaint.